The drug causing curare like effects are all except
1. Chloramphenicol
2. Polymyxin
3. Tetracycline
4. Streptomycin

Correct answer: 1. Chloramphenicol

Explanation: Refer KDT 6/e p 346 Drugs causing curare like effect are Aminoglycosides Polypeptide antibiotics Tetracycline Clindamycin, lincomycin